The characteristic features of which of the following agent makes it ideal inhalational agent-
1. Xenon
2. Desflurane
3. Sevoflurane
4. N2O

Correct answer: 1. Xenon

Explanation: Xenon has quick onset of effect and minimal effect on cardiovascular and neural system. Xenon is Non- teratogenic. Xenon has a very low blood-gas solubility coefficient (0.115) and produces rapid induction of and emergence from anesthesia. Xenon produces no green house effect or ozone depletion and is environmentally safe, unlike the other inhaled anesthetics. Does not trigger malignant hyperthermia Other advantages of xenon: Inert Minimal cardiovascular effects- It produces minimal cardiovascular depression, and it is not arrhythmogenic. Nonexplosive Has Analgesic activity - reduces intraoperative opioid requirements Disadvantages of Xenon High cost Low potency (MAC = 70%) Xenon gas has a very high density (5.9 g/L) resulting in increased flow resistance and work of breathing. Thus, it may be a poor choice for patients with compromised respiratory function